Charcot's joint includes all of the following Except:
1. Syrimgomyelia
2. Leprosy
3. Diabetes
4. Arthrogryposis multiple congenital

Correct answer: 4. Arthrogryposis multiple congenital

Explanation: Answer is D (Arthrogryposis multiple congenita): Arthrogryposis multiplex congenital is not associated with charcot's joint. Charcot foot occurs in patients with peripheral neuropathy resulting from diverse conditions including diabetes mellitus, leprosy, syphilis, poliomyelitis, chronic alcoholism or syringomyelia. Repetitive microtrauma that exceeds the rate of healing may cause fractures and dislocations. Changes in circulation may cause resorption of bone, weakening the bone and increasing susceptibility to fracture and dislocation.